Most common cause of trichiasis is-
1. Stye
2. Trachoma
3. Blephritis
4. Congenital

Correct answer: 2. Trachoma

Explanation: *The Most common among these are trachoma, Steven-Johnson syndrome, and trauma Ref: Textbook of Clinical ophthalmology 21st/e p.319